Which of the following is true about glycine?
1. Glycine is an essential amino acid
2. Sulphur containing at 4th position
3. Has a guanidine group
4. Optically inactive

Correct answer: 4. Optically inactive

Explanation: Ans: d (Optically inactive) Ref: Vasudevan, 4th, ed, p. 5th ed, p. 173Glycine is the simplest amino acid.Optically inactive.It forms every third amino acid in collagen (and most abundant amino acid in collagen).Glycine is a glucogenic amino acid formed from serine.Guanido group is present in arginine.ESSENTIAL AMINO ACIDNON ESSENTIAL AMINO ACIDLeucineValine,AlanineGlutamic acidLysineThreonine,GlycineAspartic acidIsoleucineTiyptophan,ProlineTyrosinePhenylalanineMethionineCysteineSerineAsparagineGlutamineSEMI ESSENTIAL AMINO ACIDS:Arginine, histidine.